Butressing bone formation is the tissue response to increase occlusal forces seen in
1. Stage I injury
2. Stage II repair
3. Stage III repair
4. None of the above

Correct answer: 2. Stage II repair